Free fatty acids in blood are carried by?
1. VLDL
2. LDL
3. Albumin
4. Chylomicron

Correct answer: 3. Albumin

Explanation: Free fatty acids (FFAs)/ Nonesterified (NEFA) fatty acid : Not esterified with fatty acids. Long-chain free fatty acids Transported by albumin. Hydrophobic clefts in the albumin binds to albumin. Short chain fatty acids (butyrate ) More water-soluble Exist as the unionized acid/ fatty acid anion.